Most common form of actinomycosis
1. Facio cervical
2. Thorasic
3. Right illiac fossa
4. Liver

Correct answer: 1. Facio cervical

Explanation: Actinomycosis is caused by Actinomyces israelii. Facio-cervical is the most common type. Infection spreads either from tonsil or from adjacent tooth. Actinomyces israelii is an anaerobic gram - positive fungal like bacterium. It is called as Ray fungus. Reference : SRB's Manual of Surgery, 6th Edition, page no = 54.